Both soft and hard exudates are seen in
1. Hypertension
2. Diabetes
3. Eale's disease
4. All of the above

Correct answer: 4. All of the above

Explanation: Ref khurana 6th edition pg 567 Differential Diagnosis for Hard exudates Differential Diagnosis for soft exudates i. Diabetic retinopathy ii. HTN retinopathy iii. BRVO iv. CRVO v. Coats' disease vi. Retinal artery macro aneurysm vii. Radiation retinopathy viii. Eales' disease Retinopathy of toxemia of pregnancy _ Diabetic retinopathy _ Anaemic retinopathy _ LE, PAN, and scleroderma _ Leukaemic retinopathy _ Retinopathy of AIDS - Hypertensive retinopathy - Eales' disease